Thiamine deficiency is known to occur in all of the following except
1. Food faddist
2. Homocystinemia
3. Chronic alcoholic
4. Chronic heart failure

Correct answer: 2. Homocystinemia

Explanation: beriberi, may or may not be associated with heart failure and edema acute pernicious (fulminating) beriberi, in which heart failure and metabolic abnormalities predominate Wernicke encephalopathy is associated especially with alcohol and narcotic abuse ref harper 13th ed page 556